Which of the following is not involved in intrinsic pathway?
1. Factor XII
2. Factor XI
3. Factor IX
4. Factor VII

Correct answer: 4. Factor VII

Explanation: Factor VII is required for the activation of Factor X in extrinsic pathway Ref: Ganong's Review of Medical Physiology Twenty-Third Edition Page No:533